A patient with suspicious breast lump, Ultrasonography report tells BI-RADS-4. What is your inference?
1. Benign lesion requires no follow up
2. Probably benign requires follow up
3. Suspicious lesion requires biopsy
4. Highly suggestive of malignancy

Correct answer: 3. Suspicious lesion requires biopsy

Explanation: 0Incomplete assessment--need additional imaging evaluation or prior mammograms for comparison1Negative--nothing to comment on; usually recommend annual screening2Benign finding--usually recommend annual screening3Probably benign finding (<2% malignant)--initial short-interval follow-up suggested4Suspicious abnormality (2%-95% malignant)--biopsy should be considered5Highly suggestive of malignancy (>95% malignant)-- appropriate action should be taken6Known biopsy-proven malignancyBreast Imaging Reporting and Data System Final Assessment CategoryRef: Sabiston 20e, pg: 831